Time of ovulation is detected by all EXCEPT:
1. Urine LH
2. Urine FSH
3. Serum progesterone
4. Basal body temperature

Correct answer: 2. Urine FSH

Explanation: Ans. B i.e. Urine FSHPhysiologyBest predictor of ovulation: Pre-ovulatory rise in LHIn normal menstrual cycle, progesterone is secreted by: Corpus luteumInhibin is secreted by: Graffian follicleLH precedes ovulation by: 24 hours (Ovulation coincides with LH surge)Ovulatory period: Corresponds to 14 days before next menstruationFSH stimulates: Growth of granulosa cells (measure of ovarian reserve)LH stimulates: Follicle rupture and ovulation.